Uhthoff's phenomenon is seen in
1. Tuberous sclerosis
2. Multiple sclerosis
3. Lupus erythematosus
4. Leprosy

Correct answer: 2. Multiple sclerosis

Explanation: (B) Multiple sclerosis # UHTHOFF'S PHENOMENON (Uhthoff's syndrome or Uhthoff's's sign or Uhthoff's Symptom) is the worsening of neurologic symptoms in multiple sclerosis (MS) and other neurological, demyelinating conditions when the body gets overheated from hot weather, exercise, fever, or saunas and hot tubs. It is possibly due to the effect of increased temperature on nerve conduction.> With an increased body temperature, nerve impulses are either blocked or slowed down in a damaged nerve but once the body temperature is normalized, signs and symptoms may disappear or improve.> In multiple sclerosis -- Heat sensitivity refers to neurologic symptoms produced by an elevation of the body's core temperature. For example, unilateral visual blurring may occur during a hot shower or with physical exercise (Uhthoff's symptom).